The term Stratum malphigi refers to:
1. S.corneum + S.spinosum
2. S.corneum + S.granulosum
3. S.basale + S.granulosum
4. S.basale + S.spinosum

Correct answer: 4. S.basale + S.spinosum

Explanation: The layers of epidermis from below upwards are: S.basale, S.spinosum, S.granulosum, S.corneum. The lowest 2 layers are referred to by the term S.malphigi. Ref: Rook's textbook of dermatology, 8th edition, Pg 3.8.